Hyaline cartilage is composed of which type of fibrils -
1. Collagen Type I
2. Collagen Type II
3. Collagen Type III
4. Collagen Type IV

Correct answer: 2. Collagen Type II

Explanation: (B) (Collagen Type II) (63 Robbins - Basic Pathology 9th) (170 Harsh Mohan 6th) (44,51 Lippincott's 6th)* Collagen is the most abundant of the fibrous proteins** that constitute more than 25% of the protein mass in the human body.* The collages are composed of three separate polypeptide chains braided into a rope-like triple helix** Genetic defects in these collagens cause diseases such as Ehlers - Danlos syndrome, Scurvy (Vitamin C deficiency), Osteogenesis imperfecta **** Defective regulation of collagen synthesis leads to hypertrophied scar, fibrosis and organ dysfunction.* Morphologically, the smallest units of collagen are collagen fibrils. COLLAGEN TYPETissue Distribution A) FIBRIL FORMING-I* Skin, bones, tendon, blood vessels, corneaII* Cartilage, Intervertebral disc, Vitreous bodyIII* Blood Vessels, Skin muscle B) NETWORK FORMING -IV* Basement membrane***VIII* Corneal and vascular endothelium C) FIBRIL-ASSOCIATEDIX* CartilageXII* Tendon, ligament some other tissues